The following primary tumors are common in the vulva except:
1. Adenocarcinoma
2. Basal cell carcinoma
3. Choriocarcinoma
4. Squamous cell carcinoma

Correct answer: 3. Choriocarcinoma

Explanation: Ans. is c, i.e. ChoriocarcinomaRef: Dutta Gynae 6th/ed, p334Histological types of vulval cancers* Squamous cell carcinoma-90%* Melanoma 5%* Adenocarcinoma (Bartholin's gland)* Basal cell carcinoma* Sarcoma